A Patient at 22 weeks gestation is diagnosed as having lUD which occurred at 17 weeks but did not have a miscarriage. This patient Is at increased risk for:
1. Septic abortion
2. Recurrent abortion
3. Consumptive coagulopathy with hypofibrinogenemia,
4. Future infertility

Correct answer: 3. Consumptive coagulopathy with hypofibrinogenemia,

Explanation: When dead fetus is retained in the uterus for more than 4 weeks (10-20%),there is a possibility of defibrination from silent disseminated intravascular coagulation.i.e,there is chance for consumption coagulopathy with hypofibrinemia,similar to that seen in intrauterine death of fetus. It is due to release of thromboplastin from dead fetus and placenta into maternal circulation. (D C Dutta TB of obstetrics 8th edtn pg 378)